All are used in painful diabetic neuropathy, EXCEPT:
1. Phenytoin
2. Local use of capsicum
3. Dextroamphetamine
4. Amitrytline

Correct answer: 3. Dextroamphetamine

Explanation: Answer is C (Dextroamphetamine):,. Dextroamphetantine has not been mentioned as an agent fir treatment g'painlitl diabetic neuropathy.